The disposable plastic syringes are best sterilized by?
1. Formaldehyde
2. Ethylene oxide
3. Hexachloride
4. UV radiation

Correct answer: 2. Ethylene oxide

Explanation: ETHYLENE DIOXIDE its action is due to alkylating the amino, carboxy, hydroxyl and sulphydryl groups in protein molecules. In addition, it reacts with DNA and RNA. It is used as a disinfectant presents potential toxicity to human beings including mutagenicity and carcinogenicity. It diffuses through many types of porous materials and readily penetrates some plastics. It is especially used for sterilizing heart-lung machines, respirators sutures dental equipment books and clothing. It is unsuitable for fumigating rooms because of its explosive property. It has been successfully used to sterilize a wide range of materials such as glass surfaces clothing, plastics, soil, some foods and, tobacco. REF:Ananthanarayan and Panicker's Textbook ofMicrobiology 8thEdition pg no:37